True about clostridium tetani -a) It is gram +veb) Drum stick appearancec) Grows in aerobic environmentd) It is gram -ve
1. ac
2. ab
3. ad
4. bc

Correct answer: 2. ab